In metabolism of xenobiotics, all of the following reactions occur in phase one except:
1. Oxidation
2. Reduction
3. Conjugation
4. Hydrolysis

Correct answer: 3. Conjugation

Explanation: Metabolic reactions may be classified into phase I (non-synthetic) and phase II (synthetic) reactions. Phase I reactions include oxidation, reduction, hydrolysis, cyclization and decylization etc. whereas phase II reactions include glucuronidation, acetylation,methylation, sulfation and glycine conjugation etc.